A 70 year old man develops pneumonia and septicemia. Patient goes into renal failure and has a BP of 70/50 mm of Hg. Drug that should be used to maintain BP is -
1. Adrenaline
2. Ephedrine
3. Phenylephrine
4. Nor epinephrine

Correct answer: 4. Nor epinephrine

Explanation: Norepinephrine (NE), also called noradrenaline (NA) or noradrenalin, is an organic chemical in the catecholamine family that functions in the brain and body as a hormone and neurotransmitter. The general function of norepinephrine is to mobilize the brain and body for action Norepinephrine exerts its effects by binding to a- and b-adrenergic receptors (or adrenoceptors, so named for their reaction to the adrenal hormones) in different tissues. In the blood vessels, it triggers vasoconstriction (narrowing of blood vessels), which increases blood pressure Norepinephrine is similar to adrenaline. It works by constricting (narrowing) the blood vessels and increasing blood pressure and blood glucose (sugar) levels. Norepinephrine is used to treat life-threatening low blood pressure (hypotension) that can occur with certain medical conditions or surgical procedures Ref Davidson 23rd edition pg 466